Different sequence of amino acids having similarstructure of proteins is an example of
1. Divergence
2. Convergence
3. Opportunistic
4. Incidental

Correct answer: 2. Convergence

Explanation: Convergence [Ref: Divergence and convergence are two evolutionary processes by which organisms become adapted to their Convergence has been defined as the acquisition of morphologically similar traits between distinctly unrelated environments. organisms. Convergence occurs at every level of biological organization. Functional Convergence Mechanisticechanistic convergence convergence occurs when the sequence and structure of molecules are very different but the M This refers to molecules that serve the same function but have no sequence or structural similarity and carry out their function by entirely different mechanisms. mechanisms by which they act are similar. Structural Convergence This refers to molecules with very different amino acid sequences that can assume similar structural motifs, which may carry out similar functions. Sequence Convergence In sequence convergence, one or more critical amino acids or an amino acid sequence of two proteins come to resemble each other due to natural selection. (In protein evolution, sequence divergence, rather than sequence